Linaclotide is used for the following indication?
1. IBS-Diarrhea dominant
2. IBS-constipation dominant
3. Ulcerative colitis
4. Non-specific diarrhea

Correct answer: 2. IBS-constipation dominant

Explanation: Linaclotide-chloride channel activator: 290mg OD approved by FDA for constipation in Irritable bowel syndrome.Linaclotide is a poorly absorbed 14-amino-acid peptide that binds to the guanylate cyclase C receptor on the luminal surface of intestinal enterocytes, activating the cystic fibrosis transmembrane conductance channel and stimulating intestinal fluid secretion. Preliminary results of phase 3 clinical trials confirm its efficacy in patients with chronic constipation.Ref: Katzung 13th ed. Pg 1068